Adult loading dose of aminophylline Is:
1. 50 mg/kg
2. 0.5-1 mg/kg
3. 2-3.5 mg/kg
4. 5mg/kg bd wt

Correct answer: 4. 5mg/kg bd wt

Explanation: Loading dose- It given as iv 250mg/10ml- or 3-5mg / kg aminophylline IV (max 500mg) maintanence dose- 500 micrograms / kg / hour ( Elderly: 300 micrograms / kg / hour) Add 500mg to 500mL or 250mg to 250mL of a compatible infusion fluid (1mg/mL). Administer using a rate controlled infusion pump. ESSENTIAL OF MEDICAL PHARMACOLOGY SEVENTH EDITION KD TRIPATHI PG NO.227